The cyst that remains behind in the jaws after removal of the tooth is
1. Lateral Periodontal Cyst
2. Radicular Cyst
3. Residual Cyst
4. None of the above

Correct answer: 3. Residual Cyst